Which of the following is not a 2nd generation antihistamine
1. Cetrizine
2. Cyclizine
3. Loratidine
4. Fexofenadine

Correct answer: 2. Cyclizine

Explanation: Ans. b. Cyclizine